Frey's Syndrome is due to injury of which of the following nerve branch
1. Facial Nerve
2. Trigeminal nerve
3. Glossopharyngeal nerve
4. Vagus nerve

Correct answer: 2. Trigeminal nerve

Explanation: * Auriculo temporal nerve is the Post ganglionic parasympathetic nerve which on injury during parotidectomy, results in Gustatory sweating syndrome known as Frey's syndrome after 2-3 months. * Auriculotemporal nerve is the branch of Mandibular division of Trigeminal Nerve( 5th Cranial Nerve) Ref:- Surgery Sixer 3rd Edition; Pg num:- 191